Mycoplasma organisms may also cause disease in non pulmonary sites. Which of the following is the most commonly affected non-pulmonary site?
1. Meningitis
2. Prosthetic heart valve
3. Septic arthritis
4. Urethritis

Correct answer: 4. Urethritis